In which of the following categories are ephedrine, tyramine and amphetamine classified:
1. Anticholinesterases
2. Alpha-adrenergic blocking agents
3. Indirect acting sympathomimetics
4. Direct acting sympathomimetics

Correct answer: 3. Indirect acting sympathomimetics